de Quervain's thyroiditis is characterized by-
1. Mononuclear cell infiltration
2. Histiocytic reaction
3. Giant cell infiltration
4. Eosinophilia

Correct answer: 3. Giant cell infiltration

Explanation: De Quervain thyroiditis or granulomatous thyroiditis is believed to be triggered by viral infection. It is characterised by giant cell infiltration on microscopy. Multinucleate giant cells enclose naked pools or fragments of colloid. Aggregates of lymphocytes ,activated macrophages and plasma cells are also seen associated with collapsed and damaged thyroid follicles. Ref: Robbins and cotrans 9e Pg 1088 Ref img